All are the following are features sideroblastic except-
1. Microcytosis with hypochromia
2. Increased iron stores in bone marrow
3. Responds to pyridoxine therapy
4. Responds to folic acid therapy

Correct answer: 4. Responds to folic acid therapy